Ali can cause recurrent pulmonary infection except
1. VSD
2. Recurrent LVF
3. TOF
4. ASD

Correct answer: 3. TOF